Blood is supplied to bone from which arteries?
1. Nutrient
2. Periosteal
3. Metaphyseal
4. All of the above

Correct answer: 4. All of the above

Explanation: Ans. d (All of the above). (Ref. Maheshwari, Orthopaedics, 2nd ed.pg. 7).ARTERIAL SUPPLY OF BONE1Nutrient arteryOn entering bone through nutrient foramen it divides into 2 branches, one running towards each end of bone. Then it divides into multiple branches from metaphysis where they terminate as end arteries, but after fusion or ossification of epiphysis they no longer remain end arteries.2Metaphyseal arteryDerived from anastomosis around joint. They pierce the metaphysis along the attachment of joint capsule.3Periosteal branchesPeriosteum has rich blood supply, especially in children, derived from ligamentous and muscular arteries4Epiphyseal arteries All these 4 arteries communicate with each other at metaphyseal region and thus make metaphysis, the most richly supplied part of bone, hence, hematogenous infections (osteomyelitis) start here